The recommended treatment for pregnant women with syphilis is
1. Tetracycline
2. Oral pencillin
3. Parenteral pencillin
4. Aminoglycosides

Correct answer: 3. Parenteral pencillin

Explanation: Syphilis therapy during pregnancy is given to eradicate maternal infection and to prevent or treat congenital syphilis. Parenteral penicillin G remains the preferred treatment for all stages of syphilis during pregnancy.(Ref: William's Obstetrics; 25th edition)